Combination of Nifedipine with what other tocolytic agent can potentially cause dangerous neuromuscular blockade.
1. Terbutaline
2. Magsulf
3. Indomethacin
4. Atosiban

Correct answer: 2. Magsulf

Explanation: Magnesium sulphate when used with nifedipine can cause neuromuscullar blockade that can interfere with pulmonary and cardiac function.